Best test for lung fibrosis
1. Chest x-ray
2. MRI
3. HRCT
4. Biopsy

Correct answer: 3. HRCT

Explanation: Ans. is 'c' i.e., HRCT Lung fibrosis is a diffuse parenchymal lung disease. Idiopathic pulmonary fibrosis is the most common form of idiopathic interstitial pneumonia. We have already discussed that best investigation for interstitial lung disease is HRCT Estimated relative frequency of the interstitial lung disease Diagnosis Relative frequency, % Idiopathic interstitial pneumonias 40 Idiopathic pulmonary fibrosis 55 Nonspecific interstitial pneumonia 25 Respiratory bronchiolitis-ILD and 15 Cryptogenic organizing pneumonia 3 Acute interstitial pneumonia <1 Occupational and environmental 26 Sarcoidosis 10 Connective tissue diseases 9 Drug and radiation 1 Pulmonary hemorrhage syndromes <1 Other 13